External auditory canal exostosis occurs due to?
1. Repeated instrumentation
2. Recurrent otitis externa
3. Wide external auditor meatus
4. Recurrent proplonged cold water exposure

Correct answer: 4. Recurrent proplonged cold water exposure

Explanation: Ans. is 'd' i.e., Recurrent proplonged cold water exposure Ear canal exostoses are bilateral, usually symmetric multiple bony growths occurring in the medial portion of the external auditory canal. Also known as surfer's ear, exostosis is thought to be a reactive process from repeated stimulation by cold water and is much more common than external auditory osteoma